A 40 year female patient presented with a mass 2x2 cm in the right breast. Mammography showed 4 satellite nodules in the same breast. FNAC of the lesion proved to be Carcinoma and all the 4 satellite nodules arc positive for malignancy. Ideal management for her is
1. MRM
2. Breast Conservative surgery
3. Chemotherapy only
4. Simple mastectomy

Correct answer: 1. MRM

Explanation: Ans. (a) MRM(Ref. Sabiston 20th edition Page 846)* In the presence of Satellite nodules Breast conservative surgery is contraindicated. Only Modified Radical mastectomy is done in this case.